All are complication of Typhoid ulcer except ?
1. Perforation
2. Stricture
3. Haemorrhage
4. Sepsis

Correct answer: 2. Stricture

Explanation: Ans. is 'b' i.e., Stricture